Assessment of obesity by following measurement except
1. Quetelet’s index
2. Broca index
3. Sullivan’s index
4. Corpulence index

Correct answer: 3. Sullivan’s index